Meera is a 43-year-old woman with a body mass index (BMI) of 32. She presented with abnormal uterine bleeding to her gynecologist, who performed an endometrial biopsy that indicated endometrial cancer, specifically endometrial adenocarcinoma of endometrioid histology.Meera's family history is significant for colon cancer. Her mother was diagnosed with colon cancer at age 66. Her paternal aunt was diagnosed with endometrial cancer at age 67. Suspecting hereditary disease which of the following DNA repair mechanism is defective in Meera?
1. Nucleotide excision repair
2. Homologous recombination
3. Mismatch repair
4. Base excision repair

Correct answer: 3. Mismatch repair

Explanation: The following clinical scenerio suggests of LYNCH SYNDROME Mismatch repair is defective in Lynch syndrome also called Hereditary nonpolyposis colorectal cancer(HNPCC). It is an autosomal dominant genetic condition that is associated with a high risk of colon cancer as well as other cancers including endometrial cancer(second most common). Reference: Harpers illustrated biochemistry 30th edition